5th cusp is usually not seen in:
1. Mandibular 1st molar
2. Mandibular 2nd molar
3. Mandibular 3rd molar
4. Maxillary 1st molar

Correct answer: 2. Mandibular 2nd molar